The most important determinant of prognosis in Wilms tumor
1. Stage of disease
2. Loss of heterozygosity of chromosome I p
3. Histology
4. Age less than one year at presentation

Correct answer: 3. Histology

Explanation: The most important prognostic factors in Wilms tumor is its histopathology.3% of tumors show favourable pathology(focal anaplasia)for which only surgical excision is needed.Another 6% have unfavourable pathology(diffuse analplasia);these tumors are pleomorphic and ruptured and show early metastasis to bones. Other prognostic factors are Stage of the disease,Ploidy(diploid tumors have better prognosis than hyperdiploid tumors).Young age,low stage and low tumor weight(<550 g) are favourable prognostic factors.Presence of anaplasia and loss of heterozygosity of 1p or 16q increase risk recurrence. Reference:Essential pediatrics-Ghai,8th edition,page no:618